You are assessing the airway of a patient preoperatively. On opening the mouth visibility is limited upto the soft palate. As per Mallampati modified classification what is the grade of the airway?
1. Grade I
2. Grade II
3. Grade III
4. Grade IV

Correct answer: 3. Grade III

Explanation: The grades and structures visible are given below: Grade Structures visible opening mouth I Faucial pillars, soft palate and uvula II Faucial pillars, soft palate, uvula marked by the base of the tongue III Soft palate only IV Hard palate is only visible